A retained stone impacted in distal common bile duct is seen on T- tube cholangiogram. What is the best management of stone -
1. Dissolution therapy
2. Operative removal
3. Endoscopic sphincterotomy and stone extraction
4. No active treatment is required

Correct answer: 3. Endoscopic sphincterotomy and stone extraction